Features of vernal conjunctivitis are –a) Shield ulcerb) Horner–Trantas spotsc) Papillary hypertrophy d) Herbert pitse) Pannus
1. ab
2. bc
3. abc
4. bcd

Correct answer: 3. abc

Explanation: Conjunctival signs of spring catarrh

.Palpebral form: Papillary hypertrophy, cobblestone appearance (Pavement stone appearance).
Bulbar form: Dusky triangular congestion, gelatinous thickening around limbus, Horner - Tranta's spot. Corneal signs (vernal keratopathy)


Punctate epithelial keratitis
Ulcerative vernal keratitis: shallow transverse ulcer (Shield ulcer)
Vernal corneal plaques
Subepithelial scarring
Pseudogerontoxon: characterized by a classical "cupid's bow" outline.